Conventional contraceptives are those which
1. Were discovered before 1960
2. Require action after intercourse
3. Require action at time of intercourse
4. Requires action before intercourse

Correct answer: 3. Require action at time of intercourse

Explanation: Conventional contraceptives : Methods that require action at the time of coitus Condoms Spermicides Jellies Conventional contraceptives does not mean older contraceptives Ref: Park 25th edition Pgno : 528